Dependent oedema is seen in:
1. Cirrhosis.
2. Malnutrition.
3. Nephrotic syndrome.
4. CCF

Correct answer: 4. CCF